Tense bullous lesions are seen in -
1. Pemphigus vulgaris
2. Pemphigus foliaceous
3. Bu11ous pemphigoid
4. Pemphigus vegetans

Correct answer: 3. Bu11ous pemphigoid

Explanation: In bullous pemphigoid, there will be large, tense, oval or round blisters arise on normal or erythematous skin which may contain serous or hemorrhagic fluid. Page no.283. Reference IADVL's concise textbook of dermatology